Which of the following drug is deposited in the retina ?
1. Isoniazid
2. Chloroquine
3. Rifampicin
4. Pyrazinamide

Correct answer: 2. Chloroquine